Proteins are transported into the cell by?
1. Pinocytosis
2. Osmosis
3. Active diffusion
4. Passive diffusion

Correct answer: 1. Pinocytosis

Explanation: Ans. a (Pinocytosis). (Ref. Ganong, Physiology, 21st/pg.29)Pinocytosis ("Cell drinking")# It is the process by which proteins are taken into the cell. The substance ingested are insoluble & not seen by microscope.# Endocytosis: It is a process by which a molecule is taken into the cell.# Endocytosis can be of 2 types: Phagocytosis & pinocytosis.# Endocytosis can be constitutive or clathrin-mediated, which is responsible for internalisation of many receptors & ligands binding to them. e.g. NGF, LDL, Synaptic function.